Pain insensitive structure
1. Middle cerebral artery
2. Choroid plexus
3. Dural sheath
4. Falx cerebri

Correct answer: 2. Choroid plexus

Explanation: The cranium, brain parenchyma, ependymal lining of the ventricles, and choroid plexus are all pain insensitive Ref Harrison20th edition pg 2345